Systolic pressure gradient across aortic valve is elevated in -
1. Aortic stenosis
2. VSD
3. Mitral stenosis
4. ASD

Correct answer: 1. Aortic stenosis

Explanation: The obstruction to LV outflow produces a systolic pressure gradient between the LV and aorta. AS increases in severity, LV systole may become prolonged so that the aortic valve closure sound no longer precedes the pulmonic valve closure sound, and the two components may become synchronous, or aortic valve closure may even follow pulmonic valve closure, causing paradoxical splitting of S 2 The murmur of AS is characteristically an ejection (mid) systolic murmur that commences shortly after the S 1 , increases in intensity to reach a peak toward the middle of ejection, and ends just before aortic valve closure . It is characteristically low-pitched, rough and rasping in character, and loudest at the base of the heart, most commonly in the second right intercostal space. ( Harrison's principle of internal medicine,18th edition,pg no. 1939)